The most common type of acute myeloid leukemia is-
1. Hypergranular promyelocytic leukemia
2. Monocytic leukemia
3. Myeloblastic leukemia
4. Erythroleukemia

Correct answer: 3. Myeloblastic leukemia

Explanation: Robbins basic pathology 9th edition page no, 444 Answer is option 3, myleoblastic leukemia In Acute myelooid leukemia the meoplastic cells are blocked at early stage of myeloid cell devolopment. Most AMLs harbor mutations in genes encoding transcription factors that are required for normal myeloid devolopment. These mutations interfere with the diffrentiation of early myeloid cells, leading to the accumulation of myeloid precursors(blasts) in the marrow.